An ultrasound examination shows dilated intrahepatic biliary channels with a small gall bladder. The most likely possibility is -
1. Gall Bladder stone
2. Pancreatic calculus
3. Common bile duct stone
4. Carcinoma of the head of the pancreas

Correct answer: 3. Common bile duct stone

Explanation: Ans. is 'c' i.e. Common bile duct stone * In Ca Head of Pancreas, GB will also be distended.